A 20 year old male come to casuality with head injury. Examination reveals normal counsciousness, clinically normal and blood in the tympanic membrane. Most likely cause is
1. Extradural haemorrhage
2. Sudural haemorrhage
3. Intraventricular haemorrhage
4. Complete basilar fracture

Correct answer: 4. Complete basilar fracture

Explanation: Skull Base fractures Anterior Cranial Fossa Fracture Subconjuctival hematoma CSF Rhinorrhea Carotico-cavernous fistula Periorbital hematoma or "Raccoon eyes" Middle Carnial Fossa Fracture CSF otorrhea or Rhinorrhea Hemotympanum Ossicular disruption Battle sign: Brusing behind the ear 7th & 8th cranial nerve palsies Ref: Bailey and love 27th edition Pgno :333